All of the following are known risk factors for development of endometrial carcinoma except :
1. Obesity
2. Family History
3. Use of Hormone Replacement Therapy
4. Early Menopause

Correct answer: 4. Early Menopause

Explanation: Ans. is d i.e. Early menopause Friends, this is the most frequently asked question on Endometrial cancer. Mug up predisposing factors by hea. Endometrial carcinoma occurs as a result of unopposed estrogen exposure in body. Predisposing factors are : Family Family history Has Hypeension m Obesity L Late menopause / Early menarche Diabetes A Atypical endometrial hyperplasia U Unopposed estrogen or increased estrogen in body as in : H Fibroid PCOD Feminizing ovarian Tumour N Nulliparity H/o infeility / menstrual irregularity Mnemonic : Family has OLD AUNT Oral contraceptive pills (combined addition of Progesterone to H). Smoking (as it decreases leygirtpf estrogen, decreases weight& is associated with earlier age at menopause). H Fibroid PCOD Feminizing ovarian Tumour